True about upper end of tibia is all except :
1. Ossification centre at the upper end fuses by 20 years
2. It gives attachment to meniscal cartilage on intercondylar ridge
3. It gives attachement to semi-membranosus
4. Posterior aspect of patella articulates with upper end of tibia laterally

Correct answer: 4. Posterior aspect of patella articulates with upper end of tibia laterally

Explanation: D i.e. Posterior aspect of patella articulates with upper end of tibia Patella does not articulate with tibia and fibula & fibula is not directly involved in the knee joint.